A study revealed that in study group, intake of carotene | ca colon but it is due to | fibre intake, This is due to
1. Sampling error
2. Eastogical factor
3. Misclassification bias
4. Confounding factor

Correct answer: 4. Confounding factor

Explanation: A "confounding factor" is defined as one which is associated both with exposure and disease, and is distributed unequally in study and control groups. More specifically a "confounding factor" is one that, although associated with "exposure" under investigation, is Itself, independently of any such association, a "risk factor" for the disease. Ref : Park 23rd edition Pgno : 72